Which of the following are the cause of Anemia in CKD.
1. erythropoietin production deficiency
2. Folic acid  deficiency
3. Decreased erythrocyte Survival
4. All the above

Correct answer: 4. All the above

Explanation: Other causes :
Iron, B12 deficiency.
Bleeding Diathesis.
Hemoglobinopathy.
Hyperparathyroidism .
Acute and chronic Inflammation.